Which of the following structures constitutes part of ventricle of heart -
1. Auricle
2. Crista terminalis
3. Fossa ovalis
4. Trabeculae carneae

Correct answer: 4. Trabeculae carneae

Explanation: The inflowing part of ventricles has trabeculations called as trabeculae carneae.